Which of the following is true about splenic artery-
1. Smaller than left gastric artery
2. Gives short gastric arteries along the fundus
3. Curves around the fundus
4. Arises from abdominal aorta

Correct answer: 2. Gives short gastric arteries along the fundus

Explanation: Splenic artery gives many short gastric arteries.
It is the largest branch of the coeliac trunk.